Proposed guideline values for radioactivity in drinking water is:
1. Gross alpha activity 0.5 Bq/L and gross beta activity 1.0 Bq/L
2. Gross alpha activity 1.0 Bq/L and gross beta activity 0.5 Bq/L
3. Gross alpha activity 5.0 Bq/L and gross beta activity 10.0 Bq/L
4. Gross alpha activity 10 Bq/L and gross beta activity 5.0 Bq/L

Correct answer: 1. Gross alpha activity 0.5 Bq/L and gross beta activity 1.0 Bq/L

Explanation: Gross alpha radiological activity < 0.5 Bq/litre (New guideline WHO). Gross beta radiological activity <1.0 Bq/litre (New guideline - WHO). Other Guidelines of drinking water quality in India: Colour = < 15 TCU Turbidity = < 1 NTU Hardness = < 100-300 mg/L pH = 6.5- 8.5 TDS = < 500 mg/L Fluorides = < 1ppm Nitrates = < 45 mg/d Nitrites = < 3 mg/ d